Patient of contamination phobia was asked by therapist to follow behind and touch everything he touches in patients house Therapist kept talking quietly & calmly all the time. And the patient was asked to repeat the procedure twice daily. The procedure is
1. Flooding
2. Modelling
3. Positive reinforcement
4. Aversion therapy

Correct answer: 2. Modelling

Explanation: B i.e. Modelling